Which of the following markers in the blood is the most reliable indicator of recent hepatitis Binfection?
1. HBsAg
2. IgG anti - HBs
3. IgM anti - HBc
4. IgM anti - Hbe

Correct answer: 3. IgM anti - HBc

Explanation: Answer is C (IgM anti-HBc): Hbs Ag is present in recent hepatitis B infection but it is not specific to acute infection (it may also be seen in carriers). IgM anti- HBc is specific for acute or recent hepatitis, and hence is the answer of choice.